Tributaries of the left renal vein are all except -
1. Left adrenal vein
2. Left testicular vein
3. Diaphragmatic vein
4. Left lumbar vein

Correct answer: 4. Left lumbar vein

Explanation: In the left side, inferior phrenic vein, suprarenal vein, and the gonadal vein drains into left renal vein, whereas on the right side, they drain into inferior vena cava directly.